In haemoptysis blood usually comes from
1. Bronchial veins
2. Pulmonary veins
3. Bronchial arteries
4. Pulmonary arteries

Correct answer: 3. Bronchial arteries